In fracture maxilla most common nerve involved is?
1. Infra orbital nerve
2. Supraorbital nerve
3. Trochlear nerve
4. Mandibular nerve

Correct answer: 1. Infra orbital nerve

Explanation: ANSWER: (A) Infra orbital nerveREF: Dhingra 4th ed p. 174Clinical Features of maxillary fractures:Ecchymosis of lid, conjunctiva and scleraEnophthalmos with inferior displacement of the eyeball. This becomes apparent when edema subsides.Diplopia, -which may be due to displacement of the eyeball or entrapment of inferior rectus and inferior oblique muscles.Hypoaesthesia or anesthesia of cheek and upper lip, if infraorbital nerve is involved